What is the main constituent of pneumococcal capsule
1. Polypeptide
2. Lipid
3. Polysaccharide
4. lipoarabinomannan

Correct answer: 3. Polysaccharide

Explanation: The main constituent of the pneumococcal capsule is a polysaccharide. because of its acidic and hydrophilic properties, protects the cocci from phagocytosis. capsulated S.pneumoniae are not phagocytosed effectively in fluid media or exudates. However, they are susceptible to 'surface phagocytosis', being engulfed against a firm surface, such as fibrin clot or epithelium. The enhanced virulence of Type 3 streptococci is due to the presence of capsular material. Ref: Textbook of microbiology; Ananthanarayan and paniker's; Pg:226